A 12 years old child presenting with painless neck swelling in supraclavicular region which started discharging after few days. The most probable diagnosis?
1. Scrofuloderma
2. Actinomycosis
3. Botromycosis
4. Fungal mycetoma

Correct answer: 1. Scrofuloderma

Explanation: Ans. is 'a' i.e., Scrofulodermascrofuloderma is neck swelling with discharge. SCRUfuloderma is cutaneous tuberculosis due to direct extension of infection from an underlying tuberculosis present either in a lympnode, bone or a joint.Starts as bluish painless swelling, which breaks open to form Sinuses -> Most common presentation is discharging sinuses.